Serology of a young man shows HBsAg however HBeAg is negative with normal levels of AST and ALT. He is asymptomatic. What is the next line of management ?
1. Wait and watch
2. Antivirus
3. Immunoglobulins
4. Liver  transplant

Correct answer: 1. Wait and watch

Explanation: In hepatitis B, among previously healthy adult who present with clinically apparent acute hepatitis recovery ocurs in 99% therefore, antiviral therapy is not likely to improve the rate of recovery and is not required. In this case patient is virtually asymptomatic, so no treatment is required.